Second injury in an explosion is due to ?
1. Due to flying debris
2. Due to blast wind
3. Due to shock wave
4. Due to complication

Correct answer: 1. Due to flying debris

Explanation: Ans. is 'a' i.e., Due to flying debris